A female who underwent laproscopic appendicectomy for acute appendicitis, on post op. day 2 bumped her nose on to a table. She developed difficulty in breathing and examination showed a swelling in the anterior part of the nasal septum. Next line of management is:
1. Incision and drainage
2. Oral antibiotics for 7-10 days
3. Observation
4. IV antibiotics

Correct answer: 1. Incision and drainage

Explanation: Nasal septal hematoma is a rare but potentially serious complication of nasal trauma. The trauma allows blood to pass into both mucoperichondrial planes. Because the septal cartilage has no blood supply of itself and receives all of its nutrients and oxygen from the perichondrium, untreated septal hematoma may lead to destruction of the septum resulting in a saddle nose deformity. Immediate drainage is necessary.